Test used to diagnosis Pneumocystis Jirovecci -
1. Methenamine silver
2. PCR
3. Immunofluorescence
4. All of the above

Correct answer: 4. All of the above

Explanation: Ans. is 'd' i.e., All of the above Diagnosis of Pneumocystis Tirovecci* Best specimen is bronchoscopy with BAL (bronchoalveolar lavage) fluid. Sputum can also be used.* Following are methods for diagnosisi) Histopathologic staining for cysts and other stages: It is most commonly used method for diagnosis. Methenamine silver, toluidine blue and crystal violet stain the cyst wall. Wright Geimsa stains all development stages.ii) Immunofluorescence with monoclonal antibodies.iii) PCR: It is most sensitive.